A patient with ptosis presents with retraction of the ptotic eye lid on chewing. This represents-
1. Marcus Gunn Jaw winking syndrome
2. Third nerve misdirection syndrome
3. Abducent palsy
4. Occulomotor palsy

Correct answer: 1. Marcus Gunn Jaw winking syndrome

Explanation: *Congenital synkinetic ptosis (Marcus Gunn jaw- winking ptosis ) is characterized by retracted of the ptotic lid with jaw movement, i.e. with stimulation of ipsilateral pterygoid muscle. Ref: Khurana 7th/e p.395